All of the following are associated with gigantism / acromegaly, except
1. Intellectual Disability
2. Hyperhydrosis
3. Visceromegly
4. Impaired Glucose Tolerance

Correct answer: 1. Intellectual Disability

Explanation: Answer is A (Intellectual Disability): Hypersecretion of Growth hormone (gigantism in children; acromegaly in adults) is not associated with Intellectual Disability Growth Hormone Hypersecretion IGF-1 Hypersecretion Acromegaly and Gigantism are clinical syndromes that result from hypersecretion of Growth Hormone (or somatamedins like IGF-1) Acromegaly results in adults when excessive secretion of GH occurs following epiphyseal closure. Gigantism occurs is children when excessive secretion of GH occurs prior to epiphyseal closure as a result of increased linear bone growth The most common cause for Acromegaly is a Growth Hormone secreting pituitary adenoma() (somatotrope adenoma) Clinical manifestations of Acromegaly: Local Tumor Effects Visual field defects Cranial nerve palsy (diplopia) Headache Somatic Manifestations Acral enlargement Thickening of soft tissue of the hands/feet (increased ring/shoe size) Musculoskeletal Manifestations Prognathism Malocclusion Arthralgias Carpal tunnel syndrome Frontal bossing Skin Manifestations Hyperhidrosis Skin tags Colon Manifestations Polyps Cardiovascular Manifestations Left ventricular hypertrophy Hypertension Congestive heart failure Sleep Disturbances Sleep apnea Narcolepsy Visceral Manifestations Macroglossia Hepatomegaly Splenomegaly Thyroid enlargement Sexual Function Menstrual abnormalities Galactorrhea (hyperprolactinemia) Decreased libido Carbohydrates Impaired glucose intolerance Insulin resistance Hyperinsulinemia Diabetes mellitus Lipids Hypertriglyceridemia